PQLI is -
1. Disability indicator
2. Quality of life indicator
3. Standard of living indicator
4. Level of living indicator

Correct answer: 2. Quality of life indicator

Explanation: Ans. is 'b' i.e., Quality of life indicator o The well being of an individual has two components1) Objective component - Standard of living or level of living2) Subjective component -Quality of lifeObjective componentso These area) Standard of living# It refers to the usual scale of our expenditure, goods we consume and services we enjoy. It includesi) Income & occupation.ii) Standards of housing, sanitation & nutrition.iii) Level of provision of health, educational, recreational and other services.# Standard of living depends on per capita GIWP.b) Level of living# It consists of nine components -i) Healthii) Food consumptioniii) Educationiv) Occupation & working conditionsv) Housingvi) Social securityvii) Clothingvii)Recreation & leisureix) Human rights# Amongst these health is the most important component because its impairment always means impairment of the level of living.Subjective componento Subjective component of well being is quality of life.o The level of living and standard of living are objective criteria of well being, while quality of life comprises the individual 's own subjective evaluation of these.o Recent definition of quality of life is as follows "a composite measure of physical mental and social well being as perceived by each individual or group of individuals."o WHO definition is as follows "the condition of life resulting from the combination of the effects of the complete range offactors such as those determining health, happiness, education, etc"o The index for quality of life is "Physical quality of life index (PQLI)".o The PQLI is an attemt to measure quality of life or well-being of a countryo Physical quality of life index consolidates three indicatorsi) Literacy rate.ii) Infant mortality rate.iii) Life expectancy at age 1 year (LE)o PQLI ranges from 0 to 100o PQLI in India is 65.